Bradycardia is most commonly treated with which of the following drugs
1. Epinephrine
2. Atropine
3. A diuretic
4. A potent vasadilator

Correct answer: 2. Atropine